Muscle not having dual nerve supply
1. Digastric
2. Thyrohyoid
3. Trapezius
4. Adductor magnus

Correct answer: 2. Thyrohyoid

Explanation: Anterior belly of digastric is supplied by the trigeminal nerve and posterior belly by facial nerve Spinal accesory nerve and c3,c4 nerves supply Trapezius Ischial part of sciatic nerve and the obturator nerve supply adductor magnus Ref: Gray's 39e/p112-127